The gold alloys used for casting contain at
least ________ percent of precious metal according
to ADA specification number 5:
1. 55
2. 65
3. 75
4. 85

Correct answer: 3. 75